Persistent low C3 complement level is not found in
1. Post streptococcal glomerulonephritis
2. Mesangiocapillary glomerulonephritis
3. Cryoglobulinemia
4. SLE

Correct answer: 1. Post streptococcal glomerulonephritis

Explanation: Ans. is 'a' i.e. poststreptococcal glomerulonephritis In post streptococcal glomerulonephritis the serum complement level is decreased transiently (not persistently)They classically return to normal within 6-8 weeks.Persistently decreased complement level after this period should suggest another disease.Also knowMembranoproliferative glomerulonephritis is characterized histologically by alterations in the basement membrane, proliferation of glomerular cells and leucocyte infiltration.Because the proliferation is predominantly in the mesangium a frequently used synonym is mesangiocapillary glomerulonephritis.